Which of the following is not a predisposing factor for Esophagus Ca
1. Tylosis
2. Achalasia
3. Barrett's esophagus
4. Esophageal varices

Correct answer: 4. Esophageal varices

Explanation: Diet heavy smoking Alcohol Food contaminated with fungus Vitamin deficiency Oesophageal disorders oesophagitis Achalasia Hiatus hernia Diverticula Plummer-Vinson syndrome Others Race japanese and chinese Family history tylosis Genetic factors coeliac disease, epidermolysis bullosa, tylosis HPV infection TEXTBOOK OF PATHOLOGY HARSH MOHAN 6TH EDITION PAGE NO:541